Which is the most reliable parameter to assess fluid intake in a poly trauma patient?
1. Urine output
2. Body temperature
3. BP
4. Pulse rate

Correct answer: 1. Urine output

Explanation: CVP is the best measurement but since it's not given here go for urine output can be considered as the next best.